Side effect of oxytocin is all except ?
1. Placental abruption
2. Fetal distress
3. Peripheral vascular disease
4. Water intoxication

Correct answer: 3. Peripheral vascular disease

Explanation: Ans. is 'c' i.e., Peripheral vascular disease o Side effects of Oxytocin are due to : i) ADH like action - Water intoxication ii) Excessive uterine contractions, prior to labour - Fetal distress, Placental abruption, Uterine rupture.